Neoplastic transformation in leucopLakia is seen most commonly in
1. Buccal mucosa
2. Floor of mouth
3. Lateral border of tongue
4. palate

Correct answer: 2. Floor of mouth